In hand surgery which area is called 'no man's land':
1. Proximal phalanx
2. Distal phalanx
3. Zone from the middle of the palm to just beyond the PIP joint
4. Wrist

Correct answer: 3. Zone from the middle of the palm to just beyond the PIP joint

Explanation: Zone II, or "no man's land," is the zone from the middle of the palm to just beyond the PIP joint, wherein the superficialis and profundus tendons lay ensheathed together and where recovery of glide is difficult after wounding. Ref: Young D.M., Hansen S.L. (2010). Chapter 42. Hand Surgery. In G.M. Dohey (Ed), CURRENT Diagnosis & Treatment: Surgery, 13e.